All of the following muscles of the tongue are supplied by hypoglossal nerve except
1. Genioglossus
2. Styloglossus
3. Hyoglossus
4. Palatoglossus

Correct answer: 4. Palatoglossus

Explanation: Ans: d) All intrinsic and extrinsic muscles of the tongue are supplied by hypoglossal nerve except the palatoglossus which is supplied by the cranial part of the accessory nerve through the pharyngeal plexus. Important points 1) There are 8 intrinsic and 8 extrinsic muscles of the tongue 2) The main bulk of the tongue is formed by genioglossus 3) Muscles of the tongue are developed from occipital myotomes 4) In unilateral weakness tongue deviates to side of lesion or protrusion due to the action of genioglossus muscle